The purpose of choking of a firearm is to
1. Prevent the early dispersion of pellets
2. Minimize sound
3. Minimize smoke emission
4. Cause maximum destruction

Correct answer: 1. Prevent the early dispersion of pellets

Explanation: The primary purpose of choking of a shot gun is to reduce dispersion of the pellets . Other functions:- Increases the explosive forces of the pellets. Increases the velocity of the pellets.